Central Chemoreceptors are most sensitive to following changes in blood:
1. T PCO2
2. I PCO2
3. TH+
4. T PO2

Correct answer: 1. T PCO2

Explanation: T PCO2